Drug of choice in acute severe migraine is :
1. Ergotamine
2. Sumatriptan
3. Dihydroergotamine
4. Propranolol

Correct answer: 2. Sumatriptan